Which finding on electron microscopy indicates irreversible cell injury:
1. Dilatation of endoplasmic reticulum.
2. Dissociation of ribosomes from rough endoplasmic reticulum
3. Flocculent amorphous densities in the mitochondria
4. Myelin figures

Correct answer: 3. Flocculent amorphous densities in the mitochondria

Explanation: Ans. (c) Flocculent amorphous densities in the mitochondria(Ref: Robbins 9th/pg 42; 8th/pg 19; Refer to Ans 27)Please note: myelin figures first appear in reversible cellular injury and become more pronounced in irreversible cell injury. Hence if this q was asked in PGI, answer should be both c and d. but if we have to mark one.. mark c.